Best and most effective drug to control convulsions in toxicity cases is:
1. Phenobarbitone
2. Phenytoin
3. Diazepam
4. Carbemezipine

Correct answer: 3. Diazepam